A patient develops pulmonary thromboembolism due to?
1. DIC
2. Coagulation disorder
3. DVT
4. Venous hyper tension

Correct answer: 3. DVT

Explanation: ANSWER: (C) DVTREF: Harrison 17th ed chapter 265When venous thrombi dislodge from their site of formation, they embolize to the pulmonary arterial circulation or, paradoxically, to the arterial circulation through a patent foramen ovale or atrial septal defect. About half of patients with pelvic vein thrombosis or proximal leg DVT develop PE, which is usually asymptomatic. Isolated calf vein thrombi pose a much lower risk of PE, but they are the most common source of paradoxical embolism.